True statement about diptheria toxin is -
1. Toxin is phage mediated
2. Toxin is required for local infection
3. Endotoxaemia causes systemic manifestation
4. Toxin acts by inhibiting synthesis of capsule

Correct answer: 1. Toxin is phage mediated